Which of the following is not a component of carotid sheath
1. Vagus nerve
2. Internal jugular vein
3. External carotid artery
4. Internal carotid artery

Correct answer: 3. External carotid artery

Explanation: It is a condensation of the fibroareolar tissue around the main vessels of the neck. There are the common and internal carotid arteries and internal jugular vein and the vagus nerve